Schistocytes are seen in?
1. H.U.S
2. H.S.P
3. Abetalipoproteinemia
4. Myelofibrosis

Correct answer: 1. H.U.S

Explanation: Ans. (a) HUSRef: Robbin's pathology 9th ed. / 644Characteristic of Schistocytes/Helmet Cells* Fragmented part of a red blood cell.* Irregularly shaped, jagged, and have two pointed ends* Does not have central pallor.Seen in* Hemolytic uremic syndrome* Thrombotic thrombocytopenic purpura* Disseminated intravascular coagulation* Metallic prosthetic valves